Left ventricular (LV) pressure-volume loop is shown below. During exercise within physiological limits, what is the effect on end-systolic volume?
1. ESV decreases
2. ESV increases
3. ESV remains unchanged
4. ESV first decreases then increases

Correct answer: 1. ESV decreases

Explanation: - There is increased sympathetic discharge that has a positive inotropic effect on the heart. - LV contractility increases, ejecting a greater stroke volume (SV). - Hence, there is decrease in ESV, as shown in the image.